A young male presents with central scotoma in left eye. His right vision showed 6/6 vision. On examination, in the left eye, there was focal foveal detachment in fundoscopy. What would be the next step?
1. Examine retrolental cells
2. Inquire about the use of steroids
3. Ask for history of tranuma in the other eye
4. Examination under slit lamp

Correct answer: 2. Inquire about the use of steroids

Explanation: Using of steroids may cause detachment of focal fovea. Ref khurana 6/e